The most common form of diabetic neuropathy is
1. Acutemononeuropathy
2. Autonomic neuropathy
3. Polyradiculopathy
4. Distal symmetric polyneuropathy

Correct answer: 4. Distal symmetric polyneuropathy